Investigation of choice for spinal tuberculosis -
1. X-ray
2. CT-Scan
3. Open biopsy
4. MRI

Correct answer: 4. MRI

Explanation: Ans. is 'd' i.e., MRIInvestigations in musculoskeletal systemo Investigation of choice for AVN Hip - MRIo Best initial test for osteomyelitis - Plain x-rayo Best second line test for osteomyelitis (if there is high clinical suspician and x-ray is negative) - MRIo Most accurate diagnostic test for osteomyelitis - Bone biopsy and culture,o Best view for scaphoid fracture - Oblique (scaphoid) view of wrist,o Best view for C1-C2 vertebrae & junction - Open mouth odontoid (Pegs) view,o Investigation of choice for ACL & PCL injury - MRIo Investigation of choice to detect calcification - CT scano Investigation of choice for prolapsed intervertebral disc - MRIo Investigation of choice for spinal tuberculosis - MRIo Investigation of choice for traumatic paraplagia -MRIo Gold standard and investigation of choice for osteoporosis - Dual energy x-ray absorptiometry (DEXA).